Patients with hemophilia a have bleeding disorder because of -
1. Lack of platelet aggregation
2. Lack of reaction accelerator during activation of factor X in coagulation cascade
3. Neutralization of antithrombin III
4. Release of Thromboxane A2

Correct answer: 2. Lack of reaction accelerator during activation of factor X in coagulation cascade

Explanation: Ans. is 'b' i.e., Lack of reaction accelerator during activation of factor X in coagulation cascade